Which of the following glomerular disease is associated with Crescent formation?
1. Minimal change disease
2. Rapidly progressive glomerulonephritis
3. Focal and segmental glomerulosclerosis
4. Rapidly non progressive glomerulonephritis

Correct answer: 2. Rapidly progressive glomerulonephritis

Explanation: The most common histological picture of Rapidly progressive glomerulonephritis is the presence of crescents in most of glomeruli. Crescents are formed by proliferation of parietal cells and by migration of monocytes and macrophages in the Bowman's space. The prognosis can be roughly related to the number of crescents. Ref: Robbins Pathologic Basis of Disease, 6th Edition, Page 951